Thiazide causes
1. Metabolic acidosis
2. Metabolic alkalosis
3. Respiratory alkalosis
4. Respiratory acidosis

Correct answer: 2. Metabolic alkalosis

Explanation: The increased hydrogen ion loss in the urine can lead to metabolic alkalosis in the plasma- seen with thiazides and loop diuretics metabolic acidosis is seen with potassium-sparing diuretics- (due to the increase in chloride content in the plasma)and with CA inhibitors Ref KD Tripathi 8th ed